Thrombosthenin is a/an:
1. Thrombosis preventing protein
2. Contractile protein
3. Coagulation protein
4. Protein for regulating platelets production

Correct answer: 2. Contractile protein

Explanation: B i.e. Contractile proteinThrombosthenin - is a contractile protein found within platelets.Q It helps the platelets to contract during clot formation.Other contractile proteins found within platelets are?(i) Actin(ii) Myosin